Fish is deficient in which of the following nutrients?
1. Iron
2. Iodine
3. Vitamin A
4. Phosphorous

Correct answer: 1. Iron

Explanation: Fish are less in iron. The fat of fish is Rich in vitamin A and D. REF. PARK'S TEXTBOOK OF PREVENTIVE AND SOCIAL MEDICAL 21ST EDITION. PAGE NO - 582